Vitamin K is involved in the action of the following proteins except
1. Factor II
2. Factor X
3. Factor I
4. Protein C

Correct answer: 3. Factor I

Explanation: Vitamin K dependent factors are Factors II, VII, IX, X, Protein C and S Ref: Ganong 25th ed/page 566